Which organ does not utilise ketone bodies
1. Liver
2. Brain
3. Skeletal muscles
4. Cardiac muscles

Correct answer: 1. Liver

Explanation: Liver

Ketone bodies are synthesized by the liver and are utilized by extrahepatic tissues like heart, muscles, renal cortex and brain (in starvation).
Liver cannot utilize ketone bodies because it lacks enzyme succinyl-CoA-acetoacetate CoA transferase, which is required for the activation of ketone bodies.